All are aromatic amino acid except
1. Phenyl alanine
2. Tyrosine
3. Leucine
4. Histidine

Correct answer: 3. Leucine

Explanation: Branched chain Amino Acids are Valine Leucine Isoleucine All branched chain amino acids are essential Aromatic Amino Acids are Phenylalanine - Essential Tyrosine - Non-essential Tryptophan - Essential Histidine - Semi-essential